Which is not a cause of metabolic acidosis-
1. Starvation
2. Alcoholism
3. Diabetic keto acidosis
4. Climbing to high altitudes

Correct answer: 4. Climbing to high altitudes

Explanation: High altitudes : cause respiratory alkalosis, by stimulating respiratory centers. Ref: Harrison's 19thE